Diagnosis of folic acid deficiency is done by all except
1. FIGLU estimation
2. Peripheral blood smears
3. AICAR estimation
4. transketolase activity

Correct answer: 4. transketolase activity

Explanation: Blood Level: Normal folic acid level in serum is about 20 nanograms/ml and about 200 microgram/ml of packed cells. The level is measured by radioimmunoassay. Histidine load test or FIGLU excretion test: Histidine is normally metabolised to formimino glutamic acid (FIGLU) from which formimino group is removed by THFA. Therefore in folate deficiency, FIGLU is excreted in the urine. AICAR excretion: In the purine nucleotide synthesis, the last step is the addition of C2 with the help of N10-formyl THFA, the precursor, aminoimidazole carboxamide ribosyl-5-phosphate (AICAR) accumulates and is excreted in the urine. Peripheral blood picture. Ref: DM Vasudevan - Textbook of Biochemistry, 8th edition, page no: 475, 297